Krait is
1. Myotoxic
2. Neurotoxic
3. Vasculotoxic
4. Cardiotoxic

Correct answer: 2. Neurotoxic

Explanation: Cobra,Krait - Neurotoxic 
Viper - Hemotoxic / Vasculotoxic
Sea snake - Myotoxic